A 46- Years old female presented at the eye OPD in a hospital. Her vision in the right eye was 6/60 and in left eye 3/60. Under the National Programme for Control of Blindness, she will be classified as
1. Low vision
2. Socially blind
3. Economically blind
4. Normal vision

Correct answer: 1. Low vision

Explanation: Low Vision - Visual Acuity - NPCB, India
Category 1 - <6/18 – 6/60 - Low Vision
Category 2 - <6/60 – 3/60 - Economic Blindness
Blindness
Category 3 - <3/60 – 1/60 - Social Blindness
Category 4 - <1/60 – PL+ - Manifest Blindness
Category 5 - PL– - Absolute Blindness